Which of the following drug inhibits the enzyme 11-beta- hydroxylase responsible for cortisol synthesis:-
1. Thiopentone
2. Propofol
3. Etomidate
4. Ketamine

Correct answer: 3. Etomidate

Explanation: Etomidate Inhibits the activity of II-B- hydroxylase an enzyme necessary for the synthesis of cortisol, aldosterone ,17- hydroxyl-progesterone and corticosterone. Associated with adrenocortical suppressionwhich canlast for 72 hours. Inhibits the enzyme 11b-hydroxylase, - decreased biosynthesis of cortisol and mineralocorticoid and increases the formation 11-deoxycorticosterone. More potent inhibitor of steroid synthesis than as a sedative-hypnotic as the concentration which produces adrenocortical suppression(10 ng/mL)is much lower than that needed for hypnosis (>200 ng/mL).